True about Erythema Marginatum in acute rheumatic fever is
1. Pruiritic
2. Commonly invovles face
3. Common manifestation of acute rheumatic fever
4. Usually associated with carditis

Correct answer: 4. Usually associated with carditis

Explanation: Ref Harrison 19 th ed pg 2152 Subcutaneous nodules occur as painless, small (0.5-2 cm), mobile lumps beneath the skin overlying bony prominences, particularly of the hands, feet, elbows, occiput, and occasionally the vertebrae. They are a delayed manifestation, appearing 2-3 weeks after the onset of disease, last for just a few days up to 3 weeks, and are commonly asso- ciated with carditis.